The basis of combining Ritonavir with Lopinavir
1. Pharmaceutical compatability
2. CYP3A4 inhibiton NY Ritonavir
3. Long elimination half life of Ritonavir
4. Ability to counteract side effects of Lopinavir

Correct answer: 2. CYP3A4 inhibiton NY Ritonavir

Explanation: Refer Katzung 10/e p810 Ritonavir is a microsomal enzyme inhibitor particularly of CYP3A4 .it decreases the metabolism of other drugs and thus lower dose of Lopinavir can be used in treatment of HIV when combined with Ritonavir